Which of the following diuretic can lead to hyperglycemia and hyperlipidemia?
1. Carbonic anhydrase inhibitors
2. Loop diuretics
3. Thiazide diuretics
4. Vasopressin antagonists

Correct answer: 3. Thiazide diuretics

Explanation: Thiazide diuretics decreases insulin release and leads to hyperglycemia and it also causes hyperlipidemia.